Most common organism implicated in causation of necrotizing fascitis:
1. Staphylococcus aureus
2. Streptococcus pyogenes
3. Clostridium perfringens
4. Pneumococcus

Correct answer: 2. Streptococcus pyogenes

Explanation: Streptococcus pyogenes